True about angle recession glaucoma are all except:
1. Miosis is commonly seen
2. Tears of the iris sphincter and ciliary body
3. Angle recession more than 180 degree
4. Secondary open angle glaucoma

Correct answer: 1. Miosis is commonly seen

Explanation: Ans. A: Miosis is commonly seen Angle-recession glaucoma is classified as a type of traumatic secondary open-angle glaucoma. This condition may be underdiagnosed because onset is often delayed and because a history of eye injury may be distant or forgotten. Unilateral elevation of IOP is a hallmark finding in angle-recession glaucoma, but it may not be noted in early stages of the disorder. High IOPs noted early after injury (within the first few months of injury) may indicate extensive trabecular damage and a poor prognosis. Angle recession is typically diagnosed by means of gonioscopy. Angle recession is more than 180 degrees The clinical appearance of the affected angle varies with the depth of the tear in the ciliary body and with the amount of time passed after the injury. Typically, an irregularly wide ciliary body band is visible with retroplacement of the iris root. The angle appears abnormally deep in the involved areas. This characteristic appearance is due to a cleavage between the longitudinal and circular muscles of the ciliary body. After years of healing, the fissure may no longer be visible. In fact, when many years have passed after the contusional injury, angle recession may be difficult to recognize. A large series of blunt injuries among soccer players found that angle recession is more likely to occur in the superotemporal quadrant. Ipsilateral anterior chamber depth may be increased following a contusion injury even if other signs of angle recession are absent. Angle recession should be differentiated from cyclodialysis, which is the disinseion of the ciliary body from its attachment to the scleral spur. A number of anterior segment abnormalities often accompany angle recession: Cyclodialysis Iridodialysis Iridoschisis Anterior synechia Iris sphincter tears Mydriasis Iris atrophy Transillumination defects Iritis Zonular breaks Phacodonesis Subluxated lens Cataract